Mrs. Reeta Wardhan, A 50-year old female with rheumatoid arthritis is being considered for infliximab therapy. Which of the following tests should be performed before beginning treatment?
1. Liver function tests
2. PPD skin test
3. Pulmonary function tests
4. Visual examination

Correct answer: 2. PPD skin test

Explanation: Infliximab is a monoclonal antibody against TNF-α. It is commonly used to treat moderate to severe rheumatoid arthritis particularly in patients who have failed methotrexate therapy. TNF-α inhibitors can cause serious adverse effects, including reactivation of latent tuberculosis. All patients being considered for TNF-α inhibitor therapy should have a baseline PPD skin test to screen for latent tuberculosis.